Muscle attached to medial border of scapula is-
1. Rhomboidus Major
2. Teres Major
3. Deltoid
4. Infraspinatus

Correct answer: 1. Rhomboidus Major

Explanation: Ans. is 'a' i.e., Rhomboidus Major * Lateral border of scapula (posteriorly) : Origins of teres minor and teres major.* Medial border of scapula : (i) Anteriorly : Insertion of serratus anterior; (ii) Posteriorly : Insertions of levator scapulae, rhomboideus major and minor.